PQLI lies between:
1. 0 and 1
2. 0 and 10
3. 0 and 100
4. 1 and 10

Correct answer: 3. 0 and 100

Explanation: Ans. (c) 0 and 100Ref: K. Park 23rd ed. /17PQLI (Physical Quality of Life IndexHDI (Human Development Index)Literacy rateLiteracy rateInfant mortality rateIncomeLife expectancy (at 1 year)Life expectancy () birth)Range: 0 and 100Range: 0 and +1Value in India: 650.547Also Know* Range of correlation coefficient; 1 to +1